Strassmann metroplasty is done in case of
1. Septate uterus
2. Bicornuate uterus
3. Arcuate uterus
4. Unicornuate uterus with rudimentary horn

Correct answer: 2. Bicornuate uterus

Explanation: Strassman metroplasty is done in bicornuate or didelphic uterus.